Which of the following is the best site of absorption
of calcium?
1. Proximal segment of small intestine
2. Middle segment of small intestine
3. Ascending colon
4. Ileum

Correct answer: 1. Proximal segment of small intestine